Obturator artery is a branch of
1. Internal iliac artery
2. External iliac artery
3. Common iliac artery
4. Vesical artery

Correct answer: 1. Internal iliac artery

Explanation: Obturator artery is the branch of internal iliac artery that passes anterio - inferiorly on the lateral wall of the pelvis,to the upper part of obturator foramen and escaping the pelvic cavity through the obturator canal, it divides both into anterior and posterior branch. ref - BDC 6e vol2 pg63 imageref - teachmeanatomy.com